Renal failure (Uremia) is not associated with:
1. Anaemia
2. Ca deficiency & bone disease
3. Hyperkalaemia
4. Hyperaldosteronism

Correct answer: 4. Hyperaldosteronism